Uterine bleeding at 12 weeks gestation without any cervical dilation is an indication of
1. Incomplete abortion
2. Threatened abortion
3. Missed abortion
4. Inevitable abortion

Correct answer: 2. Threatened abortion

Explanation: Bleeding occurs in about 30 to 40%of human gestations before 20 weeks of pregnancy, with about half of these pregnancies ending in spontaneous abortion. A threatened abortion takes place when this uterine bleeding occurs without any cervical dilation or effacement